Ion which is needed for conversion of Prothrombin to thrombin is?
1. Sodium
2. Potassium
3. Magnesium
4. Calcium

Correct answer: 4. Calcium

Explanation: ANSWER: (D) CalciumREF: Guyton's physiology 22nd edition page 459Conversion of Prothrombin to ThrombinFirst, prothrombin activator is formed as a result of rupture of a blood vessel or as a result of damage to special substances in the blood. Second, the Prothrombin activator, in the presence of sufficient amounts of ionic Ca++t causes conversion of Prothrombin to thrombin (Figure 36- 2). Third, the thrombin causes polymerization of fibrinogen molecules into fibrin fibers within another 10 to 15 seconds.